All of the following are most important and potential agents which can be used for Bio-terrorism except
1. Tuberculosis
2. Smallpox
3. Plague
4. Botulism

Correct answer: 1. Tuberculosis

Explanation: Category A - Can be easily disseminated, High mortality rates, Public panic and disruption.
Category B - Moderately easy to disseminate, Moderate morbidity + low mortality, Require enhanced diagnostic capacity, Require enhanced surveillance.
Category C - Emerging pathogens, Available, Ease of production, High morbidity and mortality.